A 4-year-old boy fell on outstretched hand. X- ray is shown below. Which blood vessel is most commonly affected?
1. Ulnar artery
2. Radial artery
3. Brachial artery
4. Cubital vein

Correct answer: 3. Brachial artery

Explanation: Ans. C Brachial arteryRef: Essential Orthopedics, Maheshwari 5th ed. pg. 97The image shows displaced supracondylar fracture of humerus and the spike of proximal segment can easily traumatize the brachial artery.